Minimal reabsorption from kidney is of -
1. Na+
2. Glucose
3. HCO3-
4. Urea

Correct answer: 4. Urea

Explanation: Ans. is 'd' i.e., Urea Renal handling of various plasma constrituents in a normal adult human on an average diet. Per 24 Hours SubstanceFitteredReabsorbedSecretedExcretedPercentage ReabsorbedNa+ (mEq)26,00025,850 15099.4K+(mEq)600560a5029093.3C1- (mEq)18,00017,850 15099.2HCO3-mEq)4,9004,900 0100Urea (mmol)870460 b 41053Creatinine (mmol)121clc12 Uric acid (mmol)50494598Glucose (mmol)800800 0100Total solute (mOsm)54,00053,40010070098.9Water (mL)180,000179,000 100099.4 SubstancePercentage ReabsorbedNa+(mEq)99.4K+(mEq)93.3CT (mEq)992HC03-(mEq)100Urea (mmol)53Uric acid (mmol)98Glucose ( mmol)100Total solute (mOsm)98.9Water (mL)99.4